The complete genome sequence of M. tuberculosis comprises of which of the following?
1. 4100 genes
2. 3100 genes
3. 2100 genes
4. 1100 genes

Correct answer: 1. 4100 genes

Explanation: The complete genome sequence of M. tuberculosis comprises 4043 genes encoding 3993 proteins and 50 genes encoding RNAs and its high guanine-plus-cytosine content (65.6%) is indicative of an aerobic lifestyle. Reference : Harrisons Principles of Internal Medicine, 18th Edition, Page 1340